Denominator of dependency ratio includes population of age
1. >15 years + > 65 years
2. 15 - 65 years of age
3. < 65 years
4. > 65 years

Correct answer: 2. 15 - 65 years of age